Therapeutic drug monitoring is essential for the following drug?
1. Diazepam
2. Pencillin
3. Cyclosporine
4. Metformin

Correct answer: 3. Cyclosporine

Explanation: TDM is required for drugs with narrow therapeutic range like1. Immunosuppressants like cyclosporin and tacrolimus,2. Lithium,3. Antiepileptic drugs like phenytoin, Phenobarbitone, Carbamazepine etc.Ref: KD Tripathi 7th ed.Pg 34